most common leukemia in downsyndrome of less than 3yrs old is ?
1. ALL
2. AML-M5
3. HODGKINS LYMPHOMA
4. AML-M7

Correct answer: 4. AML-M7

Explanation: DOWNS SYNDROME : most commonly associated with ALL in less than 3 yrs old m/c is AML -M7 (MEGAKARYOCYTIC LUEKEMIA ) Clinical features * Life expectancy : 55 years (National Down Syndrome Society) * Physical appearances -- flat facial profile and an upward slant to the eye -- short neck -- abnormally shaped ears -- white spots on the iris of the eye (called Brushfield spots) -- single, deep transverse crease on the palm of the hand. REF : ROBBINS 10TH ED